Which one of the following gastrointestinal disorders predisposes to urolithiasis?
1. Peutz-Jegher's syndrome
2. Short bowel syndrome
3. Familial polyposis coli
4. Ulcerative colitis

Correct answer: 2. Short bowel syndrome

Explanation: SHORT BOWEL SYNDROME Malabsorptive condition that arises secondary to removal of significant segments of the small intestine. Most common cause are Mesenteric infarction, crohn's disease, Trauma, Volvulus. Changes seen in Terminal Ileal Resection Unabsorbed fatty acids bind with calcium-Increased concentration of free oxalates (oxalates bind with calcium normally and therefore escape without intestinal absorption)- Free oxalates are absorbed- Oxalate kidney stones Vitamin B12 Malabsorption- Megaloblastic anemia. Bile salts Malabsorption-watery diarrhea Decreased bile salts in the bile- Cholesterol gall stones Steatorrhea and Malabsorption of fat soluble vitamins